Which of the following agents is most commonly associated with carcinoma cervix:
1. HPV 16
2. HPV 18
3. HPV 33
4. HPV 35

Correct answer: 1. HPV 16

Explanation: Human Papilloma Virus (HPV) 16 is the most common cause of invasive squamous cervical cancer (followed by HPV 18). Squamous cell carcinoma is the most common cause of cervical cancer worldwide. Ref: COGDT, 10th Edition, Pages 834, 835; William's Gynaecology, 1st Edition, Page 619; Human Cancer Viruses : Principles of Transformation and Pathogenesis By John nicholas, 2008, Page 4; The Encyclopedia of Sexually Transmitted Diseases By Jennifer Shoquist, Diane Stafford, Page 59.